A child climbs with alternate steps, builds a tower of 8-9 cubes, tells I but not his name and cannot say his age and sex the probable age is:
1. 24months
2. 30months
3. 36 months
4. 48months

Correct answer: 2. 30months

Explanation: Table11-1Emerging Patterns of Behavior from 1-5 Yr of Age* 15 MOMotor:Walks alone; crawls up stairsAdaptive:Makes tower of 3 cubes; makes a line with crayon; inserts raisin in bottleLanguage:Jargon; follows simple commands; may name a familiar object (e.g., ball); responds to his/her nameSocial:Indicates some desires or needs by pointing; hugs parents 18 MOMotor:Runs stiffly; sits on small chair; walks up stairs with 1 hand held; explores drawers and wastebasketsAdaptive:Makes tower of 4 cubes; imitates scribbling; imitates vertical stroke; dumps raisin from bottleLanguage:10 words (average); names pictures; identifies 1 or more parts of bodySocial:Feeds self; seeks help when in trouble; may complain when wet or soiled; kisses parent with pucker 24 MOMotor:Runs well, walks up and down stairs, 1 step at a time; opens doors; climbs on furniture; jumpsAdaptive:Makes tower of 7 cubes (6 at 21 mo); scribbles in circular pattern; imitates horizontal stroke; folds paper once imitativelyLanguage:Puts 3 words together (subject, verb, object)Social:Handles spoon well; often tells about immediate experiences; helps to undress; listens to stories when shown pictures 30 MOMotor:Goes up stairs alternating feetAdaptive:Makes tower of 9 cubes; makes vertical and horizontal strokes, but generally will not join them to make cross; imitates circular stroke, forming closed figureLanguage:Refers to self by pronoun "I"; knows full nameSocial:Helps put things away; pretends in play 36 MOMotor:Rides tricycle; stands momentarily on 1 footAdaptive:Makes tower of 10 cubes; imitates construction of "bridge" of 3 cubes; copies circle; imitates crossLanguage:Knows age and sex; counts 3 objects correctly; repeats 3 numbers or a sentence of 6 syllables; most of speech intelligible to strangersSocial:Plays simple games (in "parallel" with other children); helps in dressing (unbuttons clothing and puts on shoes); washes hands 48 MOMotor:Hops on 1 foot; throws ball overhand; uses scissors to cut out pictures; climbs wellAdaptive:Copies bridge from model; imitates construction of "gate" of 5 cubes; copies cross and square; draws man with 2-4 parts besides head; identifies longer of 2 linesLanguage:Counts 4 pennies accurately; tells storySocial:Plays with several children, with beginning of social interaction and role-playing; goes to toilet alone 60 MOMotor:SkipsAdaptive:Draws triangle from copy; names heavier of 2 weightsLanguage:Names 4 colors; repeats sentence of 10 syllables; counts 10 pennies correctlySocial:Dresses and undresses; asks questions about meaning of words; engages in domestic role-playing Ref.nelson 20th edition